Polyvalent anti snake venom does not contain the venom of
1. Naja
2. Hypernale
3. Echis carinate
4. Daboia Russel

Correct answer: 2. Hypernale

Explanation: The Indian antisnake venom neutralise the venom of 1. Common cobra (Naja naja) 2. Common krait (Bungarus caeruleus) 3. Russell's viper (Daboia russelii) 4. Saw-scaled viper (Echis carinatus)